The most common mode of transmission of Pasteurella multocida is -
1. Animal bites or scratches
2. Aerosols or dust
3. Contaminated tissue
4. Human to human

Correct answer: 1. Animal bites or scratches